A man presents with vesicles over external acoustic meatus with ipsilateral facial palsy of LMN type.The cause is -
1. Herpes zoster
2. Herpes simplex virus-I
3. Varicella
4. None

Correct answer: 1. Herpes zoster